Which of the trabecular meshwork and effect the aqueous outflow
1. Timolol
2. Pilocarpine
3. Brimonidine
4. Brinzolamide

Correct answer: 2. Pilocarpine

Explanation: Refer katzung 12e p161 KDT 6/e p 145 Miotics like pilocarpine act by increasing the trabecular outflow Drugs for glaucoma -mechanism of action Brimonidine- reducing access production increasing uveoscleral outflow lantonoprost- increase the uveoscleral outflow pilocarpine - increases trabecular outflow Betaxolo- reduces aqueous secretion by ciliary body